Plasma potassium concentration is increased with:
1. Succinyl choline
2. Atracurium
3. Pancuronium
4. Propofol

Correct answer: 1. Succinyl choline

Explanation: Ans: A (Succinyl choline) Ref: Ajax Yadav, Slum textbook of Pediatrics 1st edition Pg 86 Miller Textbook of Anaesthesia. 6th editionExplanation:Systemic Effects of Succinvl cholineCardiovascular system - Profound BradycardiaHyperkalemia - due to excessive muscle fasciculationsCNS - Increases intracranial tensionEye - Increases intraocular tensionGIT - Incr eases int agastric pressure, increases salivation, gastric secretions & peristalsisMuscle pains - due to excessive muscle contractionsMalignant hyperthermia - SCh is the most common drug causing thisAnaphylaxisMasseter spasm